Cell type which lacks HLA antigen is:
1. Monocyte
2. Thrombocytes
3. Neutrophil
4. Red blood cell

Correct answer: 4. Red blood cell

Explanation: Ans. is 'd' i.e., Red Blood cell Class IMHC molecules are expressed on all nucleated cells and plateletsClass II MHC molecules are expressed on antigen presenting cells (macrophages, dendritic and B cells)TissueMHC class IMHC class nLymphoid tissues T cells++++B cells++++++Macrophages+++++Other antigen-presenting cells (eg Langerhans' cells)++++++Epithelial cells of the thymus++++Other nucleated cells Neutrophils+++-Hepatocytes+-Kidney+-Brain+-Non -nucleated cells Red blood cells--Thrombocytes+-